Toxin of staphylococcus is
1. Hemolysin
2. Leucocidin
3. Enterotoxin
4. All

Correct answer: 4. All

Explanation: Toxins of Staphylococcus include: Cytolytic toxins: hemolysins (alpha, beta, gamma and delta) and a leucocidin. Enterotoxin Exfoliative toxin Ref: Textbook of Microbiology; Ananthanarayanan and Panicker; 10th Edition; Page No: 203, 204